Acetazolamide is associated with:
1. Metabolic acidosis
2. Metabolic alkalosis
3. Both of the above
4. None of the above

Correct answer: 1. Metabolic acidosis

Explanation: The carbonic anhydrase-inhibiting drugs are only moderately effective as diuretic agents, but because they inhibit acid secretion by decreasing the supply of carbonic acid, they have far-reaching effects. Not only is Na+ excretion increased because H+ secretion is decreased, but also HCO3- reabsorption is depressed; and because H+ and K+ compete with each other and with Na+, the decrease in H+ secretion facilitates the secretion and excretion of K+. Ref: Ganong's Review of Medical Physiology 23rd edition, Chapter 38.